Proteins targeted for destruction in eukaryotes are covalently linked to
1. Clathrin
2. Pepsin
3. Laminin
4. Ubiquitin

Correct answer: 4. Ubiquitin

Explanation: (D) Ubiquitin # UBIQUITIN is a small protein present in eukaryotic cells, that targets many intracellular proteins for degradation, mainly Abnormal newly produced proteins Aged normal proteins> The 'C terminal residue of ubiquitin becomes covalently attached to lysine residues of proteins that are then degraded via an adenosine triphosphate dependent process.# Other options:> Clathrin: Clathrin is a peripheral membrane protein that helps in endocytosis. The vesicles formed during absorptive pinocytosis are derived from invaginations (pits) that are coated on the cytoplasmic site with a filamentous material known as clathrin.> Pepsin: Is a proteolytic enzyme secreted by chief cells of stomach It is used for digestion> Laminin: Is found in extracellular matrix It is the most abundant glycoprotein present in basement membrane